The main complication associated with multiple pregnancy:
1. PPH
2. Twin interlocking
3. Foetus papyraceous
4. Eclampsia

Correct answer: 1. PPH

Explanation: Ans. A. PPHPPH is the real danger in twins due to:a. Atony of uterine muscles due to overdistension of uterus.b. Longer time taken by big placenta to separate.c. Bigger surface area of the placenta exposing more uterine sinuses.d. Implantation of a part of placenta in lower segment which is less retractile.